Paraneoplastic cerebellar ataxia in hodgkins disease is associated with autoantibody:
1. anti-Yo
2. anti-PQ type
3. Voltage gated calcium channel
4. anti-Tr

Correct answer: 4. anti-Tr

Explanation: Paraneoplastic cerebellar ataxia is associated with 1. Breast and ovarian cancers (anti-Yo) 2. Small-cell lung cancer (anti-PQ type voltage-gated calcium channel) 3. Hodgkin's disease (anti-Tr) Ref: Harrison, E-18, P-3336.